Loading dose is given for which of the following drug
1. Diazepam
2. Propranolol
3. Chloroquine
4. Aspirin

Correct answer: 3. Chloroquine

Explanation: Chloroquine is a drug having maximum Volume of Distribution (Vd >1300 L). This means it is mostly distributed in the tissues whereas the main site of its pharmacological action is RBCs. Therefore, it is given as a loading dose to attain steady state plasma concentration quickly. Chloroquine is a synthetic 4-aminoquinoline that has been the mainstay of antimalarial therapy, is the drug of choice in the treatment of erythrocytic P. falciparum malaria, except in resistant strains.